Rectal biopsy taken from Hirschsprung's disease from
1. Dilated part
2. Transitional part
3. Constricted part
4. Any of the above

Correct answer: 3. Constricted part

Explanation: Affected part of Hirschsprung’s disease is cosntricted.